Squamous cell carcinoma can arise from-a) Long standing venous ulcersb) Chronic lupus vulgarisc) Rodent ulcerd) All of the above
1. ac
2. a
3. ab
4. bc

Correct answer: 3. ab

Explanation: • It is a carcinoma of the cells of epidermis that usually migrate outwards to the surface.
• Originate from prickle cell layer; Seen in > 40 years of age
• MC skin cancer in darkly pigmented races
• 2nd MC skin cancer in light skinned races
• MC causative factor: Sunlight
• MC site: Ears, cheeks, lower lip and back of hands